Interval cholecystectomy surgery is
1. Clean
2. Clean contaminated
3. Contaminated
4. Dirty

Correct answer: 2. Clean contaminated

Explanation: When there is no information but entry to genitourinary or gastrointestinal systems it is clean contaminated.